Characteristic of subdural hematoma is
1. Convex Hyperdensity
2. Concavo convex Hyperdense
3. Biconvex hyperdense
4. Concavo convex hypodense

Correct answer: 2. Concavo convex Hyperdense

Explanation: B i.e. Concave Convex hyperdense